Excess sexual desire in male is known as?
1. Nymphomania
2. Satyriasis
3. Sadism
4. Masochism

Correct answer: 2. Satyriasis

Explanation: Ans is 'b' i.e. Satyriasis * Has been explained in previous sessions.